A 28-year-old male, who was known case of mitral valvular heart disease developed weakness on the right side of the body which gradually recovered completely over a period of 2 weeks. Blood pressure of the patient was normal and laboratory studies did not reveal any significant abnormality. What is the diagnosis?
1. TIA
2. Ischemic stroke
3. Hemorrhagic stroke
4. Cerebral salt wasting syndrome

Correct answer: 2. Ischemic stroke